Population explosion (explosive growth) is defined as the growth rate ?
1. 0.5-1.0
2. 1-1.5
3. 1.5-2
4. > 2

Correct answer: 4. > 2

Explanation: Ans. is `d' i.e., > 2 Rate/Phase Stationary population Slow growth Moderate growth Rapid growth Very Raped growth Explosive growth Annual rate of growth in % No growth <5 0.5 to 0.1 1.0 to 1.5 1.5 to 2.0 > 2.0